True about meningococcal meningitis is
1. Vaccine can be given in pregnancy
2. Cases are the most important source of infection
3. Treatment with penicillin eradicates carrier state
4. Causative agent is a gram –ve diplococci

Correct answer: 4. Causative agent is a gram –ve diplococci